How much luting agent is required for cementation of crown?
1. 3/4th filled slightly upto the margin
2. 1/4th filled
3. 1/2 filled
4. Full to prevent bubble

Correct answer: 3. 1/2 filled